All of the following drugs are used in Opioid dependence, except
1. LAAM
2. Buprenorphin
3. Methadone
4. Nalorphine

Correct answer: 4. Nalorphine

Explanation: (D) Nalorphine # Opioid dependence> Levomethadyl acetate> Levomethadyl acetate, also known as levo-a-acetylmethadol (LAAM) is a synthetic opioid similar in structure to methadone.> It has a long duration of action due to its active metabolites.> It was approved for use in the treatment of opioid dependence.> Indications> LAAM is indicated as a second-line treatment for the treatment and management of opioid dependence if patients fail to respond to drugs like methadone or buprenorphine.> Other forms of treatment include replacement drugs such as methadone or buprenorphine, used as a substitute for illicit opiate drugs.> Although these drugs are themselves addictive, opioid dependency is often so strong that a way to gradually reduce the levels of opioid needed are required.> In some countries, other opioid derivatives such as levomethadyl acetate, dihydrocodeine, dihydroetorphine and even heroin are used as substitute drugs for illegal street opiates, with different drugs being used depending on the needs of the individual patient